Nezelof's syndrome is recurrent episodes of:
1. Appendicitis
2. Cholecystitis
3. Intestinal obstruction
4. Pneumonia

Correct answer: 4. Pneumonia

Explanation: Nezelof Syndrome Nezelof syndrome (also known as "Thymic dysplasia with normal immunoglobulins") An autosomal recessive congenital immunodeficiency condition due to underdevelopment of the Thymus It causes severe infections and malignacies Treatment: Antimicrobial therapy, IV immunoglobulins, bone marrow transplantationm thymus transplantation and thymus factors) Ref: internet sources